Opiate withdrawal is treated with -
1. CPZ
2. Nalorphine
3. Pethidine
4. Methadone

Correct answer: 4. Methadone

Explanation: Treatment of opioid (Morphine or heroin) withdrawal (detoxification):- Methadone is the DOC. Alternatives are clonidine, clonidine with naltrexone with or without BZDs, Lofexidine, dextropropoxyphene, diphenoxylate.